True about smoldering myeloma is:
1. Monoclonal gammopathy
2. Lytic bone lesion
3. Hypercalcemia
4. Bone Marrow Plasma cell < 10%

Correct answer: 1. Monoclonal gammopathy

Explanation: Answer is A (Monoclonal gammopathy) Smoldering myeloma is a variant of multiple myeloma and is associated with a monoclonal gammopathy Smoldering Myeloma Smoldering Myeloma is an asymptomatic variant of multiple myeloma (Monoclonal gammopathy) These patients have a higher levels of M-component and marrow plasmacytosis than patients with MGUS (Monoclonal Gammopathy of Unknown Significance), and fulfill the minimal criteria for diagnosis of plasma cell myeloma, but are asymptomatic and have no lytic bone lesions or other clinical features of Myeloma. Diagnostic Criteria for Smoldering Myeloma (Asymptomatic Myeloma) M protein is serum > 30g/L (>3g/dl) Bone marrow clonal plasma cell (Plasmacytosis) 10% No myeloma related organ or tissue impairment No lytic bone lesions No myeloma related symptoms - No renal insufficiency - No Anemia - No Hypercalcemia Comparisonof MGUS, Indolent myeloma and Smoldering myeloma: MGUS SMM IMM Multiple Myeloma Plasma cell (BM) <10% 10-30% >30% >30% M-component IgG<3.5, IgA<2 IgG>3.5, IgA>2 IgG 3.5-7, IgA 2-5 IgG >3.51d1; IgA >2g/dl Lytic bone lesion None None <3 Present Symptoms/Infection - Anemia - Renal insufficiency - Hypercalcemia None None None Present